In case of sub condylar fracture, the condyle move
in
1. Anterior — lateral direction
2. Posterior — medial direction
3. Posterior — Lateral direction
4. Anterior — medial direction

Correct answer: 4. Anterior — medial direction